NOT True about otosclerosis
1. Females more common than males
2. Leads to Unilateral deafness
3. Tympanic membrane is Normal
4. Occurs at Oval window

Correct answer: 2. Leads to Unilateral deafness

Explanation: It is Bilateral condition.